Most common cause of otomycosis ?
1. Histoplasma
2. Rhinosporidium
3. Aspergillus
4. Actinomyces

Correct answer: 3. Aspergillus

Explanation: Ans. is 'c' i.e., Aspergillus Otomycosis Otomycosis, also called acute fungal otitis externa, describes a fungal or yeast infection of the external auditory meatus. Saprophytic fungi potentially residing in the ear canal include Aspergillus, Candida albicans, Phycomycetes, Rhizopus, Actinomyces, and Penicillium. Under certain conditions of increased heat, humidity, glucose concentration (diabetes), immunosuppression, or overuse of systemic or topical antibiotics and steroids, these saprophytic fungi can become pathogenic. Aspergillus niger accounts for 90% of otomycosis infections. Other common organisms are candida albicans (2"a most common) and Aspergillus fumigatus. Less common organisms are Phycomycetes, Rhizopus, Actinomyces and Penicillium